Rigor mortis is hastened in death following-
1. Cholera
2. Electrocution
3. Physical exertion
4. All the above

Correct answer: 4. All the above

Explanation: Rigor is early and duration is short in - Cholera, typhoid, TB, Cancer, cut-thorat wound, firearm injury, electrocution 
Rigor onset is rapid in fatigue/exhaustion before death, after insulin injection (loss of muscle glycogen), and exposure to heat.